The substance essential for transfer of fatty acids across mitochondrial membrane:
1. Cera tine
2. Ceratinine
3. Carnitine
4. Coenyzme A

Correct answer: 3. Carnitine

Explanation: C i.e. Carnitine